Best test to evaluate syphilis after treatment is:
1. TPA
2. FTA-ABS
3. TPHA
4. VDRL

Correct answer: 4. VDRL